'Whip-lash' injury is caused due to:
1. Fall from a height
2. Acute hyperextension of the spine
3. Blow on top to head
4. Acute hyperflexion of the spine

Correct answer: 2. Acute hyperextension of the spine

Explanation: Ans. Acute hyperextension of the spine